Volume of blood ejected per min/sq.m. surface area of the body is known as:
1. Stroke volume.
2. Minute volume.
3. Cardiac index.
4. None

Correct answer: 3. Cardiac index.